Which of the following condition looks malignant FNAC of breast -
1. Intraductal CA in situ
2. Fibroadenoma
3. Fibroadenosis
4. Simple cyst

Correct answer: 1. Intraductal CA in situ

Explanation: Ans. is 'a' i.e., Intraductal CA in situ * Inraductal carcinoma in situ (DCIS) and lobular carcinoma insitu (LCIS) are the types of carcinoma in situ seen in breast cancers.* On the other hand fibradenoma is a benign tumour* Simple cyst and fibroadenosis bear no malignant potential.